Anatomical snuff box content:
1. Radial artery
2. Axillary nerve
3. Brachial artery
4. Ulnar artery

Correct answer: 1. Radial artery

Explanation: Anatomical snuff box is a depression which appears on the lateral aspect of wrist and becomes prominent when thumb is extended.
BOUNDARIES.

Anteriolateral Radial- abductor pollicis longus and extensor pollicis brevis
Postero-medial ulnar - extensor pollicis longus
Floor- scaphoid and trapezium
Roof- subcutaneous tissue and skin.